Allopurinol potentiates the action of
1. Corticosteroids
2. Probenecid
3. 6-mercaptopurine
4. Ampicillin

Correct answer: 3. 6-mercaptopurine

Explanation: Allopurinol inhibits xanthine oxidase, which metabolizes 6 MP and azathioprine, so dose of 6-mp is reduced to 1/4 to 1/2 if refuse along with you allopurinol Refer kDT 6/e p209